Which is not heterophile agglutination test?
1. Weil-Felix test
2. Widal test
3. Paul-Bunnel, test
4. Streptococcus MG

Correct answer: 2. Widal test

Explanation: Ans. (b) Widal Test Ref. Ananthanarayan 8/e, p 93 The same or closely related antigen may sometimes occur in different biological species/classes, etc. It is called heterogenetic or heterophile antigen, e.g. Forssman antigen for Pneumococcus, Salmonella. Weil Felix reaction (between proteus and Rickettsia). Paul Bunnell test in infectious mononucleosis. Cold agglutination test in primary atypical pneumonia. Streptococcus MG agglutination. Antigen between E. coli and human RBC of B. Remember Widal test is tube agglutination test.